True about left renal vein is?
1. Posterior and inferior to sup. mesenteric artery
2. Posterior and superior to superior mesenteric artery
3. Anterior and inferior to sup. mesenteric artery
4. Annterior and superior to sup. mesenteric artery.

Correct answer: 1. Posterior and inferior to sup. mesenteric artery

Explanation: Posterior and inferior to sup. mesenteric artery. The left renal vein along with third part of duodenum lies in the aorto-mesenteric angle space. The left renal vein lies in front of left renal artery and posterior to the pancreas, splenic vein and sup. mesenteric artery. The superior mesenteric artery extends anteriorly and inferiorly off the aorta at L1 vertebral level.